A 6-year-old child presents with black spots on sclera and ear. His urine sample was collected for examination (A). After 30 minutes of collection, the colour of urine sample had changed to (B). What is the most probable enzyme deficiency, child is suffering from?
1. Phenylalanine hydroxylase
2. Epimerase
3. Multiple carboxylase
4. Homogentisic acid oxidase

Correct answer: 4. Homogentisic acid oxidase

Explanation: Alkaptonuria * Autosomal recessive disorder due to deficiency of enzyme homogentisic acid oxidase. Clinical features Ochronosis ( Dark spot on sclera / ear cartilage ) Arthritis Darkening of urine on standing ( oxidation of homogentisic Acid) High incidence of Heart disease ( mitral / aortic valvulitis / calcification )